A 54-year-old male is admitted to the hospital with severe chest pain. ECG examination reveals a myocardial infarction. If the posterior interventricular branch in the patient arises from the right coronary artery, which part of the myocardium will most likely have its blood supply reduced if the circumflex branch of the left coronary artery becomes occluded from an atherosclerotic plaque?
1. Anterior part of the interventricular septum
2. Diaphragmatic surface of the right ventricle
3. Infundibulum
4. Lateral wall of the left ventricle

Correct answer: 4. Lateral wall of the left ventricle

Explanation: The left coronary artery bifurcates into the anterior interventricular artery (left anterior descending: LAD) and the coronary circumflex branch. The circumflex branch gives off the left marginal branch, which supplies the lateral wall (obtuse margin) of the left ventricle. The anterior part of the interventricular septum is supplied by the LAD. The diaphragmatic surface of the right ventricle is supplied by the posterior descending artery and the right marginal, a branch of the right coronary artery. The infundibulum, also known as the conus arteriosus, is the outflow portion of the right ventricle. The posterior part of the interventricular septum is supplied by the posterior descending artery, in most cases a branch of the right coronary artery.